Pacinian corpuscles transmit which sensation:
1. Touch
2. Taste
3. Cold
4. Heat

Correct answer: 1. Touch

Explanation: A i.e. Touch